Which gas is NOT responsible for green house affect – a) Carbon monoxideb) Ozonec)  Nitrous oxided)  Nitrogen
1. b
2. ad
3. ac
4. ab

Correct answer: 2. ad